All of the following are features of phaeochromocytoma except :
1. Hypertensive paroxysm
2. Headache
3. Orthostatic hypotension
4. Wheezing

Correct answer: 4. Wheezing

Explanation: Answer is D (Wheezing): Wheezing has not been mentioned as a symptom of Pheochromocytoma. The most common symptoms in order of frequency during paroxysm are: - Headache - Palpitation - Vomiting - Sweating - Dyspnea - Weakness - Pallor The most common manifestation is hypertension. e It most commonly occurs in paroxysms i.e. Paroxysmal Hypertension The most common symptom is headache Ohothostatic Hypotension 2 :is seen as a consequence of diminished plasma volume & blunted sympathetic reflexes.